Dermatophytes are –
1. Sporothrix
2. Tinea versicularis
3. Microsporidium
4. Trichophyton rubrum

Correct answer: 4. Trichophyton rubrum

Explanation: Microsporidium (not microsporum). Microsporidium is a protozoal parasite.